Which of the following malignancies is not found to have increased risk in women with Endometriosis?
1. Ovarian cancers
2. Melanoma
3. Non-Hodgkin's lymphoma
4. Endometrial cancer

Correct answer: 4. Endometrial cancer

Explanation: Endometriosis is not associated with increase risk of Endometrial cancers Increased risk of ovarian cancers in women with endometriosis. Evidence from clinical series consistently demonstrates that the association is confined to the endometrioid and clear cell histologic types of ovarian cancer. Evidence for an association with Melanoma and non-Hodgkin's lymphoma is increasing.